Which of the following hormonal concentration decreases with age?
1. Parathormone
2. FSH
3. Growth hormone
4. Norepinephrine

Correct answer: 3. Growth hormone

Explanation: Secretion of growth hormone (GH) and IGF-1 levels decline during advancing years-of-life. These changes (somatopause) are associated with loss of vitality, muscle mass, physical function, together with the occurrence of frailty, central adiposity, cardiovascular complications, and deterioration of mental function.Ref: Ganong's review of medical physiology; 24th edition; page no: 327